Ligature pressure that should be used to resist spread of poison in elapidae poisoning:
1. < 10 mm Hg
2. 20-30 mm Hg
3. 50-70 mm Hg
4. > 100 mm Hg

Correct answer: 3. 50-70 mm Hg

Explanation: Ans. 50-70 mm Hg